Which of the following is a serious and characteristic adverse effect of Metformin
1. Lactic acidosis
2. Weight gain
3. Hypoglycemia
4. Dilutional hyponatremia

Correct answer: 1. Lactic acidosis

Explanation: Ans: A. Lactic acidosis [Ref: KDT 7h/e p. 453).Two important adverse effects of these agents are lactic acidosis (more with phenformin) and vitamin B12 deficiency (more common with metformin).More common side effects are abdominal pain, anorexia, metallic taste, mild diarrhea and tiredness.